The number of ossification centres for the hyoid bone is :
1. 3
2. 4
3. 5
4. 6

Correct answer: 4. 6

Explanation: D i.e. 6 Hyoid bone has a body, two greater and two lesser cornua or horns. The hyoid bone develops from 270 & 3rd pharyngeal arches, the lesser cornu from 2nd the greater cornu from 3rd and body from fused ventral ends of bothOssification proceeds from 6 centersQ i.e. a pair for body and one for each cornu. Ossification begins in the greater cornu towards the end of intrauterine life, in body shortly after birth and in lesser cornu around' puberty.